Width of the central incisor as compared to the 
bizygomatic width is
1. 1:13
2. 1:14
3. 1:15
4. 1:16

Correct answer: 4. 1:16